A 60–year old diabetic patient has an uneventful phacoemulsification with IOL implantation. He presented with pain, diminished vision, redness, watering and a greyish yellow pupillary reflex on the third postoperative day. Examination revealed circumcorneal congestion, aqueous cells 4+, hypopyon in the anterior chamber with posterior synechiae and retrolental flare. The most likely diagnosis is –
1. Keratitis
2. Glaucoma
3. Endophthalmitis
4. Postoperative cyclitis

Correct answer: 3. Endophthalmitis

Explanation: Painful red eye with diminution of vision along with evidence of aqueous flare, hypopyon and loss of normal red reflex, three days after cataract surgery suggests a diagnosis of Acute Postoperative Endophthalmitis.